The attitude of limb in posterior dislocation of hip joint:
1. Flexion, adduction and external rotation
2. Flexion, adduction and internal rotation
3. Flexion, abduction and external rotation
4. Flexion, abduction and internal rotation

Correct answer: 2. Flexion, adduction and internal rotation

Explanation: Ans. B: Flexion, adduction and internal rotation An isolated posterior dislocation of the hip is easy to diagnose The patient presents with a history of severe trauma followed by pain, swelling and deformity (flexion, adduction and internal rotation)